False about Flail chest
1. of 3 or 4 contiguous ribs in atleast 2 locations
2. Chestwall moves inwards during inspiration
3. Mechanical Ventilation always needed
4. Can lead to respiratory failure

Correct answer: 3. Mechanical Ventilation always needed

Explanation: Flail chest is fracture of 3 or more consecutive ribs,with each rib having two or more fracture sites.It is characterised by paradoxical respiration where the flail segment moves inward during inspiration,and during expiration the segment moves outwards.It can lead to respiratory failure. Traditionally,treatment consisted of mechanical ventilation to internally splint the chest until fibrous union of the broken ribs occurred.The price for this was considerable in terms of intensive care unit resources & ventilation dependent morbidity.Currently,treatment consisted of oxygen administration,adequate analgesia,& physiotherapy.Ventilation is reserved for cases developing respiratory failure despite adequate analgesia and oxygen administration.Surgery to stabilise flail chest is currently in use again. Reference:Bailey & Love's short practise of surgery,25th edition,page no:343